Lacrimal gland function test for sjogren syndrome:
1. Schimmer test
2. Rise Bengal test
3. Split lamp test
4. All of the above.

Correct answer: 4. All of the above.